L-asparaginase is particularly used in which type of leukemia-
1. AML
2. CML
3. ALL
4. CLL

Correct answer: 3. ALL

Explanation: Answer is C (ALL): Asparginase is particularly used in treatment of ALL